Linear striations are typically seen in:
1. Vertebral myeloma
2. Vertebral lymphangiomas
3. Vertebral metastases
4. Vertebral haemangiomas

Correct answer: 4. Vertebral haemangiomas

Explanation: Vertebral haemangiomas